The enzyme deficient is Lesch-Nyhan syndrome is
1. GTRT
2. Glutaminase
3. Transcarboxylase
4. HGPRT

Correct answer: 4. HGPRT

Explanation: Lesch-Nyhan syndrome is due to complete deficiency of hypoxanthine-guanine phosphoribosyl transferase (HGPRT).